A tracheostomised patient, with poex tracheostomy tube, in the ward, developed sudden complete blockage of the tube. Which of the following is best next step in the management?
1. Immediate removal of the tracheostomy tube
2. Suction of tube with sodium bicarbonate
3. Suction of tube with saline
4. Jet ventilation

Correct answer: 1. Immediate removal of the tracheostomy tube

Explanation: Immediate removal of the tracheostomy tube is best next step in the management in the above case -Suction of tube with sodium bicarbonate is done to avoid the blockage. -Suction of the tube with saline can't be used when there's a complete obstruction. - Jet ventilation is done below the level of larynx, when we're operating on the larynx.